Sulphonamide is conjugated with:
1. Acetylation
2. Methylation
3. Hydroxylation
4. None

Correct answer: 1. Acetylation